Which of the following diuretic causes maximum loss of potassium in urine:
1. Acetazolamide
2. Spironolactone
3. Ethacrynic acid
4. Furosemide

Correct answer: 1. Acetazolamide

Explanation: Ans. A: Acetazolamide Actezolamide causes maximum loss of potassium and bicarbonate in the urine, whereas furosemide causes maximum loss of sodium and chloride in the urine